The largest trematode infecting man is -
1. F.hepatica
2. F. buski
3. E. Granulosus
4. Clonorchis sinensis

Correct answer: 2. F. buski